In siderosis bulbi the electrolytically dissociated iron ions:
1. Are deposited under the membranous structures of the eye
2. Combine with intraocular proteins and produce degenerative changes
3. Produce local irritative reaction at the site where deposited
4. All of the above

Correct answer: 2. Combine with intraocular proteins and produce degenerative changes

Explanation: Ans. Combine with intraocular proteins and produce degenerative changes